The persistent suppression of bacterial growth that may occur after limited exposure to some antimicrobial drug is called?
1. Time dependent killing
2. Concentration dependent killing
3. Post antibiotic effect
4. Sequential blockade

Correct answer: 3. Post antibiotic effect

Explanation: Ans. is 'c' i.e., Post antibiotic effect